Which of the following pathological process is associated with 'Annexin V'?
1. Apoptosis
2. Necrosis
3. Atherosclerosis
4. Inflammation

Correct answer: 1. Apoptosis

Explanation: Identifying apoptotic cells: Staining of chromatin condensation Flow cytometry to visualize rapid cell shrinkage DNA changes detected by in situ techniques or by gel electrophoresis Annexin V as marker for apoptotic cell membrane having phosphatidylserine on the cell exterior Ref: Essential Pathology By Harsh Mohan, 2005, Page 38.